Which of the following is a part of secondary granules in neutrophils?
1. Cathepsin G
2. Lactoferrin
3. Defensin
4. Myeloperoxidase

Correct answer: 2. Lactoferrin

Explanation: Ans. is 'b' i.e., LactoferrinLvsosomal enzymes:o These are present in the lysosomes of neutrophils and monocytes. Lysosomes contain two types of granules; Primary (azurophilic) and Secondary (specific) granules.Lvsosomal granulesPrimary (azurophilic) granulesSecondary (specific) granuleso Require high level of agonist to be released extracellularlyo Potentially more destructiveo Secrete:y Myeloperoxidase (MPO)y Acid hydrolasey Elastasey Defensiny Phospholipase A2y Non-specific collagenaseo Secreted at lower concentration of agonistso Secreted extracellularly more readilyo Secrete:y Lysozymey Lactoferriny Alkaline phosphatasey Type IV collagenasey Phospholipase A2